Posterior atrophic candidiasis is also known as:
1. Geographic tongue
2. Median rhomboid glossitis
3. Black hairy tongue
4. Hemifacial atrophy

Correct answer: 2. Median rhomboid glossitis

Explanation: When the posterior dorsal point of fusion of tongue is defective, a rhomboid-shaped, smooth erythematous mucosa lacking in papillae or taste buds is seen. This median rhomboid glossitis (central papillary atrophy, posterior lingual papillary atrophy) is a focal area of susceptibility to recurring or chronic atrophic candidiasis, prompting a recent shift towards the use of posterior midline atrophic candidiasis as a more appropriate diagnostic term.